Acute mastitis commonly occurs during-
1. Pregnancy
2. Puberty
3. Lactation
4. Infancy

Correct answer: 3. Lactation

Explanation: • Involvement of the interlobular connective tissue of the breast by an infectious process.
• The patient develops nipple fissuring and milk stasis, which initiate a retrograde bacterial infection.
• Emptying of the breast using breast suction pumps shortens the duration of symptoms and reduces the incidence of recurrences.
• The addition of antibiotic therapy results in a satisfactory outcome in >95% of cases.